All of the following are major criteria inthe diagnosis of Acute Rheumatic Fever, except -
1. Prolonged PR interval
2. Subcutaneous Nodules
3. Chorea
4. Carditis

Correct answer: 1. Prolonged PR interval

Explanation: Ans-A Prolonged PR interval